Which of the following veins is found in relation to the paraduodenal fossa -
1. Inferior mesenteric vein
2. Middle colic vein
3. Left colic vein
4. Splenic vein

Correct answer: 1. Inferior mesenteric vein